A doctor treats a person who has met with an accident and sustained severe injuries. In this case, consent from the patient is not mandatory.
Which of the following section says  that consent is not required in emergency situations
1. Sec 90 IPC
2. Sec 84 IPC
3. Sec 92 IPC
4. Sec 87 IPC

Correct answer: 3. Sec 92 IPC

Explanation: Refer the byte "legal sections".